Which type of sensory receptor provides information about the force of muscle contraction
1. Nuclear bag fiber
2. Nuclear chain fiber
3. Golgi tendon organ
4. Bare nerve ending

Correct answer: 3. Golgi tendon organ

Explanation: Golgi tendon organs, which are located in the muscle tendons transmits information about tendon tension or rate of change of tension.Ref: Guyton; 13th edition; Chapter 55 Motor Functions of the Spinal Cord; the Cord Reflexes